Earliest sign of laryngeal tuberculosis is
1. Erythema of vocal cords and loss of adduction
2. Mouse nibbled appearance
3. Ulceration of vocal cords
4. Swelling in the interarytenoid region

Correct answer: 1. Erythema of vocal cords and loss of adduction

Explanation: Laryngeal examination of tuberculosis of the larynx Hyperaemia of the vocal cord in its whole extent or confined to posterior part with impairment of adductor is the first sign. Swelling in the Interarytenoid region giving a manipulated appearance. Ulceration of vocal cord giving the mouse-nibbled appearance. Superficial ragged ulceration on the arytenoids and Interarytenoid region. Granulation tissue in the Interarytenoid region or vocal process of arytenoid. Pseudoedema of the epiglottis " turban epiglottis ". Swelling of ventricular bands and aryepiglottic folds. The marked pallor of the surrounding mucosa. Ref: Textbook of diseases of ENT, PL Dhingra, 7th edition, pg no. 331